Virus is shed during which phase of herpes simplex virus infection
1. Vesicle and crusting stage
2. Vesicle and ulceration stage
3. Ulceration and crusting stage
4. Crusting stage alone

Correct answer: 2. Vesicle and ulceration stage

Explanation: Virus is shed during first two phases of herpes genitalis. i.e vesicle and ulceration.